Trigone of urinary bladder develops from:
1. Endoderm
2. Ectoderm
3. Mesoderm
4. None

Correct answer: 3. Mesoderm

Explanation: Ans. (c) MesodermRef. BDC Vol-2/ 382* Trigone of bladder is formed by the absorption of mesonephric ducts and is mesodermal in origin.